Organic causes of constipation in infant are all except-
1. High fibre diet
2. Cystic fibrosis
3. Hypothyroidism
4. All

Correct answer: 1. High fibre diet

Explanation: Ans is 'a' i.e., High fibre diet Constipation in infants and children 3 Constipation is extremely common in pediatric population. o The vast majority of cases (90-95%) are functional i.e. 90-95% have functional constipation with no organic disease. In 1-5% cases, the organic disease can be diagnosed as cause of constipation, i.e. only 1-5% have organic causes of constipation. o Organic causes of constipation are: (i) Intestinal: Hirschprung disease, Anal/rectal stenosis, Anal fissure, anteriorly displaced anal opening, strictures. (ii) Drugs: Narcotics, vincristine, Psychotropics. (iii) Metabolic/endocrine: Cystic fibrosis, hypothyroidism, Panhypopituitrism (iv) Neuromuscular: Cerebral palsy, Psychomotor retardation, spinal cord lesions, Myotonic dystophy, Neuropathy or myopathy of GIT (v) Other causes: Low fibre diet, Milk protein allergy.